Nissl bodies in neurons are
1. Golgi apparatus
2. Endoplasmic reticulum
3. Mitochondria
4. Lysosome

Correct answer: 2. Endoplasmic reticulum

Explanation: Nissl bodies are basophilic bodies or granules composed of many thin, parallelly arranged, membrane-bounded cavities or cisternae which are covered by many minute particles consisting of Ribose nucleoproteins i.e. RNA with proteins. Granule's size and number vary with physiological condition of the cell. For example, fatigue, certain poisons, and sectioning of axon cause Nissl granules to disintegrate into fine dust and which finally disappears.Ref: Textbook of physiology, Dir. Prof. AK Jain, 5th edition.